Follow-up ofcataract operations in national blindness control program is done by -
1. Active surveillance
2. Passive surveillance
3. Sentinel surveillance
4. Routine check-up

Correct answer: 3. Sentinel surveillance

Explanation: Ans. is 'c' i.e., Sentinel surveillance o 25 sentinel surveillance units have been established in departments of ophthalmology and PSM in medical collages in India for assessment of - Beneficiary profiles. Visual outcomes based on cataract surgery records. Follow-up of operated cases. Ocular morbity data.